Which of the following is an antipsychotic drug ?
1. Flupenthixol
2. Rasagiline
3. Clobazam
4. Divalproex

Correct answer: 1. Flupenthixol

Explanation: Ans. is 'a' i.e., Flupenthixol Antipsychotics (Neuroleptics) Antipsychotics are a group of psychoactive drugs commonly used to treat psychosis, e.g. Schizophrenia. Antipsychotic drugs are divided into: Typical antipsychotics (first generation antipsychotics) Phenothiazines - Chlorpromazine, Thioridazine, Trifluperazine, Fluphenazine. Thioxanthenes - Thiothixene, Flupenthixol. Butyrophenones - Haloperidol, Trifluperidol, Penfluridol. Other heterocyclics - Pimozide, Loxapine, Sulpiride B) Atypical antipsychotics (second generation antipsychotics) 1. Clozopine 3. Olanzopine 5. Aripiprazole 2. Risperidon 4. Quetiapine 6. Ziprasidone